A child is born with a single functional copy of a tumor suppressor gene. At the age of 5 years, the remaining normal allele is lost through mutation. As a result, the ability to control the transition from G1 to the S phase of the cell cycle is lost. Which of the following neoplasms is most likely to arise by means of this mechanism -
1. Retinoblastoma
2. Breast carcinoma
3. Adenocarcinoma of colon
4. Cerebral astrocytoma

Correct answer: 1. Retinoblastoma